Maximum chances of HIV transmission are associated with?
1. Receptive anal sex
2. Insertive anal sex
3. Receptive oral sex
4. Insertive oral sex

Correct answer: 1. Receptive anal sex

Explanation: Ans.is'a'i.e.,Receptive anal sex[RefHttp://www.aidsmap.com/HIV-risk-levels-for-the-insertive-and-receptive-partner-in-different-types-of-sexual-intercourse/page/14434904 HIV risk levels for the insertive and receptive partner in different types of sexual intercourseAnal intercourse has highest risk of transmission (anal intercourse > vaginal intercourse > oral sex).Unprotected anal intercourse carries a higher risk of sexual HIV transmission than unprotected vaginal intercourse. Although either sexual partner can acquire HIV from the other during unprotected anal intercourse, HIV is more likely to pass from an HIV-positive insertive partner to his receptive partner than from an HIV-positive receptive partner to his or her insertive partner.